visual hallucinations are more common among
1. delirium tremens
2. schizophrenia
3. cocaine bugs
4. temporal lobe epilepsy

Correct answer: 1. delirium tremens

Explanation: hallucination is a perception without stimulus hallucination are of several different types based on the modality this is the most important question asked in the entrance examination auditory hallucination is more common among schizophrenia visual hallucinations is more common in delirium tremens tactile hallucinations is more common in cocaine bugs olfactory hallucination is common in temporal lobe epilepsy the table is of utmost importance in entrance examinations Ref. Kaplon and Sadock, synopsis of Psychiatry, 11 th edition, Pg.No. 195